Age is an example of which of the following scales?
1. Nominal
2. Ordinal
3. Interval
4. Ratio

Correct answer: 4. Ratio

Explanation: Metric scale is further divided into interval and ratio scales. In a ratio scale, there is a definite zero point and it is correct to say that an age of 6 years is twice that of 3 years. Ref: Medical biostatistics, 1st edition pg: 99